Finasteride acts by blocking:
1. α-receptors
2. 5–α reductase enzyme
3. Androgen receptors
4. β–receptors

Correct answer: 2. 5–α reductase enzyme